A 60-year-old women presents with a 2-week history of uterine bleeding. Gynecologic examination reveals an enlarged uterus. The hysterectomy specimen shows a large polypoid mass involving the endometrium and myometrium. Histologic examination reveals malignant glands and malignant stromal elements, including striated muscle and cartilage. What is the appropriate diagnosis?
1. Carcinosarcoma
2. Endometrioid adenocarcinoma
3. Leiomyosarcoma
4. Pleomorphic adenoma

Correct answer: 1. Carcinosarcoma

Explanation: Carcinosarcoma is an aggressive, mixed mesodermal tumor, in which the epithelial and stromal components are both highly malignant. These neoplasms are derived from multipotential stromal cells. The overall 5-year rate survival is 25%. Pleomorphic adenoma (choice D) is a mixed tumor of salivary gland. The other choices do not feature biphasic components.Diagnosis: Carcinosarcoma